Of the following conditions most painful is:
1. Stye
2. Hordeolum internum
3. Ulcerative blepharitis
4. Inflammation of gland of Moll

Correct answer: 2. Hordeolum internum

Explanation: Ans. Hordeolum internum